Suicidal tendency is associated with:
1. Depression
2. Schizophrenia
3. Impulsive disorder
4. All of the above

Correct answer: 4. All of the above

Explanation: Ans. D: All of the aboveDepression is a state of low mood and aversion to activity.A depressed person will experience or display some of the following:Persistent sadness, anxiety or feelings of emptinessFeelings of hopelessness, helplessness and/or pessimism.Feelings of worthlessness or guiltContemplating suicide or suicide attemptProblems concentrating, remembering details and making decisionsFatigue and loss of energyPersistent aches, pains or digestive problems that are resistant to treatmentIrritability or restlessnessInsomnia, waking early, or excessive sleepingOvereating, or appetite lossLoss of interest in activities that once were pleasurable (e.g., hobbies, sex, social activities, etc.).Other features which increases the risk of completed suicide:Age more than 40 yearsMaleStaying singlePrevious suicidal attemptsSuicidal preoccupation (written suicidal note)Alcohol/drug dependenceUntreatable physical illnessRecent stressful life eventHigher degree of impulsivitySome schizophrenic patients develop depressive features within 12 months of an acute episode of schizophrenia.